All are derivatives of midgut EXCEPT
1. Ascending colon
2. Appendix
3. Jejunum
4. Descending colon

Correct answer: 4. Descending colon

Explanation: Descending colon REF: Langman's medical embryology 9TH edition page 298, http://en.wikipedia.org/wiki/ Human_gastrointestinal tract"Descending colon is a derivative of Hindgut"PartPart in adultGives rise toArterial supplyForegututOesophagus to first 2 sectionsof the duodenumOesophagus, Stomach, Duodenum (1st and2nd parts), Liver, Gallbladder, Pancreas,Spleen, Superior portion of pancreasceliac trunkMidgutlower duodenum, to the firsttwo-thirds of the transverselower duodenum, jejunum, ileum, cecum,appendix, ascending colon, and first two-branches ofthe superior colonthirds of the transverse colonmesenteric artery last third of the transverselast third of the transverse colon, descendingbranches ofHindgutcolon, to the upper part of thecolon, rectum, and upper part of the analthe inferior anal canalcanalmesenteric artery